Spermin is detected in semen by which test -
1. Barberio test
2. Florence
3. ELISA
4. Agglutination inhibition

Correct answer: 1. Barberio test

Explanation: Barberio's test → Yellow coloured crystals of spermin picrate.
Florence test → 4 Brown crystals of choline periodide.